Bartonella henselae causes all except -
1. Oroya fever
2. Cat scratch disease
3. Bacillary angiomatosis
4. SABE

Correct answer: 1. Oroya fever

Explanation: B. henselae is associated with Cat-scratch disease, bacillary angiomatosis, bacillary peliosis, bacteremia, endocarditis